Which side clefts are most common
1. Left
2. Right
3. Midline
4. Paramedian

Correct answer: 1. Left

Explanation: Explanation
The embryonic fusion of the facial processes of the right side occurs before that on the left side. Hence, there is more time for deformity to occur on left side.